Drug of choice in CML is
1. Busulfan
2. Chlorambucil
3. Imatinib mesylate
4. Hydroxy urea

Correct answer: 3. Imatinib mesylate

Explanation: (Imatinib mesylate) (444-CMDT-08) (685-H17th)CHRONIC MYELOID LEUKEMIA* **Allogenic stem cell transplant (SCT) is the only curative therapy for CML and when feasible is the treatment of choice* * * When allogenic SCT is not feasible, Interferon a therapy is the treatment of choice* Recombinant a - Interferon had largely replaced hydroxy urea as the treatment of choice for CML* Leukapheresis - role in the treatment of pregnant women in whom it is important to avoid potentially teratogenc drugs* Splenectomy - used rarely to reduce the size of the spleenTreatment of blast crises* The treatment of all forms of the blast crises is generally ineffective* Myeloid crises and erythroid crises are treated as for AML* Lymphoid blast crises is treated like ALL with vincristine plus prednisone induction therapy with or without an anthracycline* Even SCT is minimally effective during blast crises* The treatment of CML has been transformed by the introduction of imatinib mesylate. Which specifically inhibits the tyrosine kinase activity of the bcr/abl oncogene (444-CMDT- 08)